62-year-old female has kidney stone and treated with PCNL. After 2 days she again comes to OPD with chills and fever. What is the complication?
1. Bacterial sepsis
2. Acute pancreatitis
3. Splenic injury
4. Ureteric stricture

Correct answer: 1. Bacterial sepsis

Explanation: Bacterial sepsis Complications relating to PCNL include: Injury to the spleen, pleura and colon. Haemorrhage (MC) Sepsis. Extravasation due to rupture of the collecting system. Retained stone fragments. Open surgery to the kidney is sometimes more complicated after PCNL.